Ciliary staphyloma affects ciliary zone upto mm behind the limbus
1. 4
2. 6
3. 8
4. 10

Correct answer: 3. 8

Explanation: Answer- C. 8Staphyloma is an abnormal protrusion of uveal tissue through a weak and thin portion of cornea or sclera. So, a staphyloma is lined internally by weal tissue and ennally by weak cornea or sclera.Ciliary staphyloma : - This afects the ciliary zone that includes the region upto I mm behind the limbls. The ciliary body is incarcerated in the region of scleral ectasia. Causes are Developmental glaucoma, Primary or secondary glaucoma end stage, scleritis, trauma to ciliary region.